Advantages of full thickness skin graft over split thickness graft are all except:
1. Better color matching
2. Less contraction
3. Less chance of injury after healing
4. Large surface area can be covered

Correct answer: 4. Large surface area can be covered

Explanation: One of the few disadvantages of full thickness grafts is that covering large areas of skin can be challenging due to significant donor site morbidity and slightly increased chance of graft rejection. When large areas of skin are intended to be covered, split thickness grafts are considered better choice.